In type II respiratory failure there is:
1. Low pO2 and Low pCO2
2. Low pO2 and High pCO2
3. Normal pO2 and High pCO2
4. Low pO2 and Normal pCO2

Correct answer: 2. Low pO2 and High pCO2

Explanation: Type I respiratory failure Type II respiratory failure Low pO2 Low pO2 Normal or low pCO2 High pCO2 A-a gradient is increased A-a gradient is normal because Hypoventilation leads to reduction of both pAO2 and paO2